Mild dilated fixed pupil seen in -
1. Acute congestive glaucoma
2. Iridocyclitis
3. Chronic congestive glaucoma
4. Open angle glaucoma

Correct answer: 1. Acute congestive glaucoma

Explanation: Pupil is semi dilated vertically oval and fixed. It is non-reactive to both light and accomodation. Ref: Comprehensive Ophthalmology AK Khurana 6th edition chapter-10 page no: 245